Fraction of CPK is an enzyme that is elevated in a myocardial infarct is:
1. MM fraction
2. MB fraction
3. BB fraction
4. Both MM and BB fraction

Correct answer: 2. MB fraction